Temp of water used to cool the burn wound?
1. 20ºc
2. 25ºC
3. 10ºC
4. 15ºC

Correct answer: 4. 15ºC

Explanation: 15ºC is the best temp for cooling burn wound.